In hydatid cyst which layer has germinal membrane and contains viable parasites
1. Pericyst
2. Mesocyst
3. Ectocyst
4. Endocyst

Correct answer: 4. Endocyst

Explanation: The hydatid cyst is characterised by three layers, an outer pericyst derived from compressed host organ tissues, an intermediate hyaline ectocyst, which is non-infective, and an inner endocyst that is the germinal membrane and contains viable parasites which can separate forming daughter cysts.Ref: Bailey and Love 27e pg: 64